The chief source of blood supply to head and neck of femur is derived from
1. Acetabular branches of obturator artery
2. Acetabular branches of medial circumflex femoral artery
3. Retinacular branches of medial circumflex femoral artery
4. Nutrient artery of femur

Correct answer: 3. Retinacular branches of medial circumflex femoral artery

Explanation: The head of the femur is partly supplied by a branch of obturator artery along the ligamentum teres.Main arterial supply is from retinacular arteries, branches of the medial femoral circumflex artery.These arteries get injured in intracapsular fracture of neck of femur, leading to avascular necrosis of the head.BDC 6th edition (Abdomen & lower limb) pg: 32